All of the following events occur at or shortly after birth EXCEPT
1. The ductus arteriosus closes, allowing blood to bypass the liver
2. The ductus arteriosus closes, ending theshunting of blood from the aorta to the lungs
3. The foramen ovale closes, ending the shunting of blood from the right to the left atrium
4. Blood pressure in the left atrium increases

Correct answer: 1. The ductus arteriosus closes, allowing blood to bypass the liver

Explanation: When the ductus venosus closes, the bypass of blood around the liver ends, and blood must pass through the liver. The adult remnant of the ductus venosus is the ligamentum venosum. The increased venous return from the lungs increases the blood pressure in the left atrium, and the reduced blood flow from the umbilical vein reduces blood pressure in the right atrium.